Strykers View is used for?
1. Hill Sachs Lesion
2. Internal Auditory Meatus
3. Acetabulum
4. Optic Foramen

Correct answer: 1. Hill Sachs Lesion

Explanation: Figure: Stryker notch view Strykers Notch view is a Xray projectin used to evaluate articulation of Glenoid and Humeral Head, and is used for evaluating Hill Sachs lesions. Stenvers view is used to demonstrate internal auditory canal and petrous temporal bone and bony labyrinth. Schullers view is used for Mastoid Air Cells. Judet view is used for Acetabular fracture. Rhese view is used for Optic Foramen. Skyline view for Patella.